Edward syndrome is
1. Trisomy 13
2. Trisomy 18
3. Trisomy 21
4. Trisomy 20

Correct answer: 2. Trisomy 18

Explanation: Edward syndrome is trisomy 18 . It is due to non dysfunction of chromosomes during meiosis Trisomy 21 is down symdrome and trisomy 13 is patau syndrome. Reference: Nelson TB of pediatrics pg 404 edi 19.